One of the following does not cause increase in the size of spleen in later stages -
1. Sickle cell anaemia
2. Cirrhosis
3. Infectious mononucleosis
4. Hairy cell leukaemia

Correct answer: 1. Sickle cell anaemia

Explanation: Ans. is 'a' i.e., Sickle cell anaemia